RET proto-oncogene is associated with which carcinoma?
1. Hepatocellular Carcinoma
2. MEN
3. Testicular carcinoma
4. Breast carcinoma

Correct answer: 2. MEN

Explanation: Ans. is 'b' i.e., MEN * RET is a growth factor receptor (receptor tyrosine kinase). RET protein is a receptor for glial cell lined derived neurotrophic factor. RET is normally expressed in parafollicular 'C' cells of thyroid, adrenal medulla and parathyroid cell precursons.* Point mutation in RET protooncogenes is associated with MEN-2A, MEN-2B, medullary thyroid carcinoma and Hirschsprung disease.